Ideal imaging modality to diagnose hydrocephalus in a one month old baby is:
1. Plain X-ray
2. Ultrasound
3. Computerised tomography
4. Magnetic Resonance Imaging

Correct answer: 2. Ultrasound

Explanation: Ans. Ultrasound